Mass chemoprophylaxis in endemic area is recommeded for all of the following, except
1. Yaws
2. Leprosy
3. Trachoma
4. Filaria

Correct answer: 2. Leprosy

Explanation: Cholera-tetracycline or furazolidone for household contacts Conjunctivitis bacterial-erythromycin ophthalmic ointment Diphtheria-erythromycin Influenza-oseltamivir Meningitis,meningococcal-ciprofloxacin and minocyclin Plague-tetracycline for contacts of pneumonic plague Chemoprophylaxis implies the protection from or prevention of disease. This may be achieved by causal prophylaxis of a disease or by clinical prophylaxis. 1)causal prophylaxis implies the complete prevention of infection by the early elimination of the invading or migrating causal factor 2)clinical prophylaxis implies the prevention of clinical symptoms Indications for chemoprophylaxis: Cholera,bacterial conjunctivitis,diphtheria,influenza,malaria,meningococcal meningitis,plague Ref: 25th edition, Park's Textbook of Preventive and Social Medicine, Page no. 137